The adverse effects of oral pills are all, EXCEPT:
1. Weight gain
2. Hypertension
3. Thromboembolism
4. Dysmenorrhoea

Correct answer: 4. Dysmenorrhoea

Explanation: The side effects of oral pills are: a. Weight gain, acne, chloasma. Other serious complications are: b. Venous thromboembolism, pulmonary thrombosis. c. Coronary and cerebral thrombosis resulting in myocardial infarction or stroke. The estrogen component of the OC has been mainly held responsible for the venous thromboembolism. Estrogen and progestin are blamed for the arterial phenomena like: Increased in blood clotting factors Decreased antithrombin III Decreased plasminogen activator in endothelium. Increased platelet aggregation. Rise in BP: If the B.P rises, best is to stop OCP. Note: An increased incidence of breast cancer, vaginal and cervical cancer is reported. Lower incidence of ovarian malignancy is noted in contraceptive users. Ref: KDT 6th Ed Page 35, 316.